Facial plane is formed by
1. Sella gnathion
2. Sella nasion
3. Nasion pogonion
4. Nasion subspinale

Correct answer: 3. Nasion pogonion